All are second messengers except:
1. Cyclic AMP
2. Guanylyl cyclase
3. Diacylglycerol
4. Inositol triphosphate

Correct answer: 2. Guanylyl cyclase

Explanation: Remember that guanylyl cyclase is an enzyme while cGMP is a secondary messenger
Types of second messengers
There are 3 basic types of secondary messenger molecules:
1. Hydrophobic

DAG
IP3
Phosphotidylinositol

2. Hydrophilic

cAMP
cGMP

3. Gases

NO
CO